Which muscle originates from tendon of other muscle
1. Palmaris longus
2. FCR
3. Lumbricals
4. Adductor pollicis

Correct answer: 3. Lumbricals

Explanation: Ans. is 'c' i.e., Lumbricals